Which of the following is called as capacitance vessels
1. Artery
2. Arteriole
3. Veins
4. Venule

Correct answer: 3. Veins

Explanation: A large amount of blood can be added to the venous system before the veins become distended to the point where further increments in volume produce a large rise in venous pressure. The veins are therefore called capacitance vessels.